Chylothorax is common on right side because
1. Long course of thoracic duct towards right side
2. Presence of Liver on right side
3. Right lung has 3 lobes in contrast to left having 2 lobes
4. Due to megalymphatic congenital anomaly on right side

Correct answer: 1. Long course of thoracic duct towards right side

Explanation: Chylothorax is common on right side because of long course of thoracic duct towards right side.